True about bile acids is
1. 7 a hydroxylase is the rate limiting enzyme in the synthesis
2. They are derived from cholesterol
3. Cholic acid is primary bile acid
4. All of the above

Correct answer: 4. All of the above

Explanation: Ref: M.N. Chatterjea - Textbook of Biochemistry, 8th edition, page no: 438,439